True about infectious mononucleosis -a) Associated with heterophile antibodies b) Monocytosisc) Associated with cold agglutinind) Associated with CMV infectione) Self limited disease
1. bce
2. bde
3. ace
4. abde

Correct answer: 3. ace

Explanation: Epstein Barr Virus
 Epstein barr Virus is a family of herpesviridae containing linear DMA.
Epstein barr Virus causes infectious mononucleosis
infectious mononucleosis is characterized by fever, sore throat lymphadenopathy and atypical lymphocytosis,
LymphocytosisQ is a prominenbt features with >10% atypical lymphocytes.
Heterophile test is used for diagnosis of IM in children.
Autoimmune haemolytic anemia is seen in 2% of cases.
Anemia is coomb's positive with cold agglutinin directed against the 'i' red blood cell antigen